Gaucher's disease is due to deficiency of enzyme
1. Sphingomyelinase
2. b-Glucosidase
3. Hexosaminidase-A
4. b-Galactosidase

Correct answer: 2. b-Glucosidase

Explanation: Gaucher's disease is a lipid storage disease. It is due to the deficiency of beta-glucosidase. Results accumulation of glucocerebroside.Ref: DM Vasudevan, 7th edition, page no: 193